Which is a better preservative for urine in viscera packing
1. Concentrated Hydrochloric acid
2. Thymol
3. Toluene
4. Sodium fluoride

Correct answer: 3. Toluene

Explanation: - Concentrated Hydrochloric acid, Thymol, Toluene, Sodium fluoride used to preserve urine - Of which, Toluene is better.